The most common site of rupture of abdominal aortic aneurysm is
1. Laterally into the left retroperitonium
2. Laterally into the right retroperitoneum
3. Posteriorly into the posterior retroperitoneum
4. Anteriorly into the peritoneum (Intraperitonial)

Correct answer: 1. Laterally into the left retroperitonium

Explanation: Abdominal aortic aneurysm: Most commonest type of large vessel aneurysm. 95% have associated atheromatous change. 95% occur below renal arteries. Symptomatic aneurysms may cause minor symptoms such as back and abdominal discomforts, before severe sudden abdominal pain due to rupture develops. Asymptomatic aneurysms are found accidentally on physical examination. Abdominal aortic aneurysms csn rupture into anteriorly into peritoneal cavity (20%) or posterolaterally to retroperitoneal space (80%). Anterior rupture leads to free bleeding into peritoneum whereas posterior rupture leads to retroperitoneal haematoma. The patient remain conscious but in severe pain. If no operation is performed , death is inevitable. Indications for surgery:- 1. Asymptomatic aneurysm more than 5.5 cm 2. Growth rate more than 0.5 cm per year. 3. Painful tender aneurysm 4. Thrombosed aneurysm, aneurysm with distal emboli. {Reference: SRB's manual of surgery, 5th edition , page no. 198}